Main cell of shedding are:
1. Osteoclasts.
2. Odontoclasts.
3. Fibroblasts.
4. All of the above.

Correct answer: 2. Odontoclasts.

Explanation: Odontoclasts are the main shedding cells.